Which of the following proton pump inhibitor has enzyme inhibitory activity
1. Rabeprazole
2. Lansoprazole
3. Pantoprazole
4. Omeprazole

Correct answer: 4. Omeprazole

Explanation: Omeprazole inhibits oxidation of certain drugs like diazepam, phenytoin and warfarin levels may be increased. Clarithromycin inhibits omeprazole metabolism and increases its plasma concentration.